Which of the following metal is considered as the principal hardener and gives red colour to the alloy?
1. Platinum
2. Palladium
3. Copper
4. Zinc

Correct answer: 3. Copper

Explanation: Copper when added to gold-based alloys, imparts a reddish color to the gold and hardens the alloy via a solid-solution or ordered-solution mechanism.
Ref: Craig’s 14th edition page 183, 184